Most common cause of delayed puberty in males is ?
1. Kallaman syndrome
2. Klienfelter syndrome
3. Constitutional
4. Prader-willi syndrome

Correct answer: 3. Constitutional

Explanation: Ans. is 'c' i.e., Constitutional orT Most common cause of delayed puberty is constitutional.